Hallucinations are produced by?
1. Amphetamine
2. Morphine
3. Paraxetine
4. Chlorpromazine

Correct answer: 1. Amphetamine

Explanation: Ans, A. AmphetamineAmphetamine psychosis mimic paranoid schizophrenia. There may be deleusions and hallucinations.